Which carries more weight in a court of law?
1. Dying deposition
2. Dying declaration
3. Both are not significant
4. Both carry the same weight

Correct answer: 1. Dying deposition

Explanation: Dying Deposition: The Magistrate records the evidence after administering an oath in presence of the accused or his lawyer. Cross-examination is done. Dying declaration: Statement Recorded by anyone--oath not required. Cross-examination not done. Dying deposition carries more weight. Ref - Krishan Vij textbook of forensic medicine 5e pg : 9